Which of these forms the principle of stroboscopy
1. Terrier's law
2. Goldsmith law
3. Seldinger principle
4. Talbott's law

Correct answer: 4. Talbott's law

Explanation: Talbot law --images on human retina linger for 0.2 seconds after exposure.Therefore, sequential images produced at intervals less than 0.2 seconds produce the illusion of a continuous image which allows for the illusion of motion when rapidly produced still images are presented Ref : Diseases of ENT by Dhingra 6th edition Pgno : 385